A 65-year-old man with history of syncopal attacks on exertion and angina is undergoing heart valve surgery. The intra-operative appearance is shown below. Which kind of pulse is expected to present in this case before surgery?
1. Dicrotic pulse
2. Pulsus bigeminus
3. Pulsus bisferiens
4. Anacrotic pulse

Correct answer: 4. Anacrotic pulse

Explanation: Aortic Stenosis Notice a calcified heart valve with three cusps. Taking into consideration age of patient with clinical finding of syncopal attacks and angina, Pulse- Slow rising pulse with low amplitude - Anacrotic pulse.